Agent causing malignant h erthermia –
1. Succinyl choline
2. Dantrolene
3. Gallamine
4. Ketamine

Correct answer: 1. Succinyl choline